Man is secondary host for -
1. Malaria
2. Tuberculosis
3. Filariasis
4. Relapsing fever

Correct answer: 1. Malaria

Explanation: Intermediate host-man Definitive host-mosquito Asexual development-manSexual development-mosquito Sporozoite infective form.Sporozoites are present in the salivary gland of the mosquito .Man gets infection by the bite of female anopheles mosquito (refer pgno:55 baveja 3 rd edition)